A 66-year-old driver suffers a stroke while driving on highway. He has a history of hypertension, is a heavy smoker, and drinks beer every weekend A right upper motor neuron paralysis of the facial nerve is noted; the other cranial nerves are normal. He has a hemiplegia on the right side, with equal paralysis of the arm and leg. His lesion most likely involves the?
1. Left internal capsule
2. Left Mid brain
3. Left Pons
4. Left Medulla

Correct answer: 1. Left internal capsule

Explanation: Left Internal Capsule